Carhart's notch is seen in
1. Otosclerosis
2. Acoustic neuroma
3. Meneir's disease
4. CSOM

Correct answer: 1. Otosclerosis

Explanation: i.e. (Otosclerosis): (99-Dhingra 5th)* Carhart's notch - maximum at 2000 Hz or 2KHZ carharts notch disappears after successful stapedectomy in OTOSCLEROSIS* Schwartze sign - flamingo-pink bluish tympanic membrane due to hyperaemia of the promontory and affords good evidence that the otosclerotic process is an active phase in OTOSCLEROSISOTOSCLEROSIS (otospongiosis)- Commonest site -fissula ante fenestram**- Painless and progressive bilateral conductive deafness**- Paracusis willisii (hears better in noisy than quite surroundings)**- Tinnitus, vertigo, monotonous speech**